Concept of super ego was given by:
1. Eric fromm
2. Sigmund Freud
3. Eric Erikson
4. Carl Jung

Correct answer: 2. Sigmund Freud

Explanation: B. i.e. Sigmund freud